"Osteosclerotic" bone metastasis is found most commonly in which carcinoma:
1. Kidney
2. Thyroid
3. Lung
4. Prostate

Correct answer: 4. Prostate

Explanation: Prostate